Pegloticase used in treatment of gout acts by which of the following mechanism:
1. It inhibits Xanthine oxidase enzyme
2. It metabolizes uric acid to allantoin
3. It inhibits the migration of inflammatory cells
4. It accumulates in synovial fluid and prevent the action of cytokines

Correct answer: 2. It metabolizes uric acid to allantoin

Explanation: Rasburicase and Pegloticase metabolize insoluble uric acid to soluble allantoin and used in the treatment of chronic gout.